Muscle glycogen, which cannot contribute to blood glucose due to the absence of which enzyme?
1. Phosphoglutamase
2. Branching enzyme
3. Debranching enzyme
4. Glucose-6-phosphotase

Correct answer: 4. Glucose-6-phosphotase